In "Jiggling type" of trauma, the occlusal force cause
1. Funnel shaped destruction of socket wall
2. Distinct pressure and tension sides within periodontal Ligament
3. No changes in socket wall
4. Has no effect on periodontal ligament space

Correct answer: 1. Funnel shaped destruction of socket wall